Treatment of choice for acoustic neuroma is
1. Steroids
2. Radiotherapy
3. Anti-neoplastic drugs
4. Surgery

Correct answer: 4. Surgery

Explanation: Acoustic neuroma is surgically removed through translabyrinthine, middle cranial fossa, suboccipital or combined translabyrinthine- suboccipital approach. Ref: Textbook of diseases of ENT, PL Dhingra, 7th edition, pg no. 127